During acclimatization to high altitude all of the following take place except
1. Increase in minute ventilation
2. Increase in the sensitivity of central chemoreceptors
3. Increase in the sensitivity of carotid body to hypoxia
4. Shift in the oxygen dissociation curve to the left

Correct answer: 4. Shift in the oxygen dissociation curve to the left

Explanation: At high altitude there can be acute changes and changes due to acclimatization.
Acute mountain sickness

Dyspnoea, dizziness, tiredness, tachycardia, palpitation, nausea, vomiting etc.
At higher altitudes- pulmonary edema and cerebral edema may occur.

Acclimatization changes

Hyperventilation leading to respiratory alkalosis
Increased 2,3DPG- Hb-O2 dissociation curve shifts to right.
Increased erythropoietin leading to absolute polycythemia
Increased renal excretion of bicarbonate
Increased tissue vascularity
Increased oxidative metabolism
Increased diffusion capacity of lung
Increased myoglobin